Green endo ice refers to:
1. 1,1,1,2-Tetraflueroethane.
2. Temperature is -26.2degree celcius.
3. Both AB
4. Temperature is-41degree celcius.

Correct answer: 3. Both AB